True about Helicobacter pylori are all except:
1. Urea, breath test is diagnostic
2. Gram negative, flagellated bacilli
3. Risk factor for development of adenocarcinoma of stomach
4. It provides life-long immunity

Correct answer: 4. It provides life-long immunity

Explanation: Ans. is 'd' i.e., It provides life-long immunity(Ref: Harrison, 17th/e, p. 946, 19th/e, p. 1038; Ananthanarayan, 9th/e, p. 400)Helicobacter pylori infection doesn't provide life-long immunity.